In which of the following meniscal tears will meniscectomy be a more suitable option than meniscal repair?
1. Tears in the outer zone
2. Tears in the middle zone
3. Tears in the inner zone
4. Tears at the junction of anterior horn of medial meniscus & tibial collateral ligament

Correct answer: 3. Tears in the inner zone

Explanation: Meniscal Repair is recommended for tears in the Red zone and the Red white zone. Meniscal Repair is not recommended for tears in the white zone. (Inner zone)
Tear of the inner zone is treated with arthroscopic excision.